An example of antiprogesterone is:
1. Gossypol
2. Atosiban
3. Clomiphene
4. Mifepristone

Correct answer: 4. Mifepristone